True about lithium treatment in mania -a) Commonest neurological side effect is tremorb) Toxic level is <1.5 mg/dl serum levelc) Amiloride is DOC for Li induced diabetes insipidusd) Lithium is 90% protein bounde) Tremor is treated with propranolol
1. acd
2. bde
3. cde
4. ace

Correct answer: 4. ace

Explanation: GI symptoms (stomachache, nausea, vomiting and diarrhea) are the most common side effects noted with lithium use. Tremor is the commonest neurological side effect.
Toxic level of lithium is >2.0 meq/L.
Amiloride is the DOC for lithium induced diabetes insipidus.
Lithium has low protein binding.
Propranolol is used to treat lithium induced tremor in adults.